Which of the following is used to represent continuous (quantitative) data ?
1. Bar diagram
2. Pie chart
3. Histogram
4. Map diagram

Correct answer: 3. Histogram

Explanation: Ans. is `c' i.e., Histogram